Lower lid surgery in which plication of the lower lid retractors is done is called -
1. Quickert
2. Jones
3. Weiss
4. Modified wheelers

Correct answer: 2. Jones

Explanation: Jones operation : plication of lower lid retractors. Done for severe/recurrent cases of entropion. Lower lid retractors exposed horizontal skin incision at lower border of tarsal plate, shortened and sutures are used to create a barrier to prevent over-riding of preseptal muscle. Others: Anterior lamellar resection. Tarsal wedge resection. Modified ketssey's Posterior lamellar graft. Transverse everting suture. Weis operation. Quickert procedure. Ref: AK Khurana 6thE pg:Ref: AK Khurana 6thE pg: 374